False about abdominal lymphoma is
1. MALT lymphoma is associated with H. Pylori infection
2. Primary small intestinal Lymphomas are most commonly located in the jejunum
3. Angiosarcoma is the most common primary malignant neoplasm of spleen
4. Stomach is the most common site for extranodal lymphoma

Correct answer: 2. Primary small intestinal Lymphomas are most commonly located in the jejunum

Explanation: Primary small intestinal Lymphomas are most commonly located in the ileum Primary gastric Lymphomas are derived from B-cells and classified as diffuse large B-cell lymphoma (DLBCL) and MALT. Both DLBCL & MALT are thought to be between chronic H. Pylori infection. The linkage is better established for MALT, where as the association between H. Pylori and DLBCL is controversial Gastric lymphoma accounts for the majority of extranodal Lymphomas representing approximately 50-75% of primary gastrointestinal Lymphomas Ref: Sabiston 20th edition Pgno: 1278